A peripheral smear with increased neutrophils,basophils,esinophils,and paltelets is highly suggestive of:
1. Acute myeloid leukemia
2. Acute lymphoblastic leukemia
3. Chrnoic myelogenous leukemia
4. Myelodysplastic syndrome

Correct answer: 3. Chrnoic myelogenous leukemia

Explanation: The peripheral blood picture of this patient is quite characteristic of chronic myeloid leukemia. Chronic myeloid leukemia is a stem cell disease that is characterized by leukocytosis with granulocytic immaturities.basophilia,splenomegaly and distinct chromosomal abnormality philadelphia chromosome.(ref Harrisons 17th/683-684)